All of the following are true regarding treatment of Syphilis except :
1. Only acceptable treatment for syphilis in pregnancy is penicillin
2. Early latent syphilis is treated by 2.4 million units of Benzathine penicillin once
3. Late latent is treated by 2.4 million units of Benzathine penicillin once
4. Neurosyphilis is treated with Aqueous pencillin G 18-24 million units IV daily

Correct answer: 3. Late latent is treated by 2.4 million units of Benzathine penicillin once

Explanation: The only acceptable treatment for syphilis in pregnancy is penicillin in dosage schedules appropriate for the stage of the disease. Recommended treatment of Syphilis Stage of syphilis Treatment Alternative Comments Primary, secondary/ Early latent Benzathine penicillin G 2.4 million units IM once Doxycycline 100 mg orally twice daily for 14 days or tetracycline 500 mg orally four times daily for 28 days or ceftriaxone 1g IM daily for 8-10 days Late latent/ Uncertain duration Benzthine penicillin G 2.4 million units IM weekly for 3 weeks Doxycycline 100 mg orally twice daily for 28 days or tetracycline 500 mg orally four times daily for 28 days or Tertiary without neurosyphilis Benzthine penicillin G 2.4 million units IM weekly for 3 weeks Doxycycline 100 mg orally twice daily for 28 days or Tetracycline 500 mg orally four times daily for 28 days or Cerebrospinal fluid evaluation recommended in all patients Neurosyphilis Aqueous pencillin G 18-24 million units IV daily, given every 3-4 hours or as continuous infusion for 10-14 days Procaine penicillin, 2.4 million units IM daily with probenecid 500 mg orally four times a day for 10-14 days or ceftriaxone 2 g IM daily for 10-14 days Follow treatment with benzathine pencillin G, 2.4 million units IM weekly for up to 3 weeks